Vitriolage is punishable under which section:
1. Sec. 320 IPC
2. Sec. 326 IPC
3. Sec. 326-A IPC
4. Sec. 304-A IPC

Correct answer: 3. Sec. 326-A IPC

Explanation: Ans. Sec. 326-A IPC The Section 326 A in the Indian Penal Code lays down the punishment for acid throwing. The minimum punishment is 10 years' imprisonment. It can extend up to life imprisonment with fine. A separate law to punish offenders in such cases was passed along with amendment of law on sexual offences.